A newborn with ABO incompatibility, the characteristic feature on peripheral smear is the presence of:
1. Microspherocytes
2. Fragmented RBC
3. Polychromasia
4. Elliptocytosis

Correct answer: 1. Microspherocytes

Explanation: In ABO hemolytic disease of newborn -Peripheral blood smear shows numerous spherocytes (predominate) , occasional nucleated red cells, anisocytosis and polychromasia. -The blood film in ABO hemolytic disease of the newborn (ABO HDN) is marked by the presence of microspherocytes. -The spherocytosis is attributed to loss of membrane surface area when the spleen removes antigen-antibody complexes from the affected cell.